Best investigation for pericardial effusion is -
1. MRI
2. CT
3. X ray
4. Echocardiography

Correct answer: 4. Echocardiography

Explanation: Ans. is 'd' i.e., Echocardiography Investigations o Investiation of choice to identify individual cardiac chamber enlargement - 2D-echocardiography. o Inv estigation of choice for pericardial effusion - 2D-echocardiography. o Investigation of choice for valvular heart disease - 2D-echocardiography. o Investigation of choice for cardiomyopathy -2D-echocardiography. o Investigation of choice for cardiac temponade - 2D-echocardiography. o Investigation of choice for aortic dissection in stable patient - MRl. o Investigation of choice for aortic dissection in unstable patient - TEE. o Investigation of choice for ventricular function and size - Echocardiography o Investigation of choice for congenital heart disease - Echocardiography, o Investigation of choice for pericardial defect - MRI. o Investigation of choice for radiotherapy/chemotherapy induced myocardial damage - Endomyocardial biopsy o Investigation of choice for myocardial perfusion and viability (reversible ischemia) - Nuclear cardiac imaging (thallium scan or Technetium scan) o Most sensitive investigation for air embolism - Trans-esophageal echocardiography. o Second most sensitive investigation for air embolism - PrecordiaJ Doppler o Best x-ray view for right atrial enlargement - Left anterior oblique view, o Best x-ray view for left atrial enlargement - Right anterior oblique view with barium swallow